Hailey - hailey disease is:
1. Benign familial chronic pemphigus
2. Pemphigus acutus
3. Pemphigus
4. Lyell's syndrome

Correct answer: 1. Benign familial chronic pemphigus

Explanation: A. i.e. Benign Familial Chronic Pemphigus